Most common malignant tumour of bone is:
1. Osteogenic sarcoma
2. Chondro sarcoma
3. Ewing's sarcoma
4. Metastasis

Correct answer: 4. Metastasis

Explanation: (Metastatic bone disease) (224-M) (193-Apley's 8th)Metastatic bone disease - In patients over 50 years bone metastasis are seen more frequently than all primary malignant bone tumours.* Commonest source is carcinoma of breast, next in frequency are prostate, kidney, lung, thyroid, bladder and GIT* Commonest sites for bone metastasis are -vertebrae pelvis the proximal half of the femur and the humerus* Spread is usually via the blood stream.